Dangerous area of scalp is ?
1. Superficial fascia
2. Loose areolar tissue
3. Pericranium
4. Aponeurosis

Correct answer: 2. Loose areolar tissue

Explanation: Ans. is 'b' i.e., Loose areolar tissueThe scalp consists of five layers:SkinClose network of connective tissue (superficial fascia)Aponeurosis (galea aponeurotica) with occipitofrontalis musclesLoose areolar (subaponeurotic) tissuePericranium (outer periosteum of skull)First three layers are intimately connected and move as one unit, and are called surgical layers of scalp or scalp proper.Loose subaponeurotic areolar tissue (4th layer) is called dangerous area of scalp because it contains emissary veins through which infection in subaponeurotic space may spread readily to intracranial venous sinuses.